Co-administaion of which of the following drug with Zidovudine is not preferred:
1. Indomethacin
2. Aspirin
3. Trimethoprim
4. All of the above

Correct answer: 4. All of the above

Explanation: Ans. D: All of the above Common side effects of AZT include nausea, headache, changes in body fat, and discoloration of fingernails and toenails. More severe side effects include anemia and neutropenia. Myopathy, lactic acidosis, hepatomegaly, convulsions and encephalopathy are infrequent. AZT has been shown to work additively or synergistically with many anti-HIV agents; however, acyclovir and ribavirin decrease the antiviral effect of AZT. Drugs that inhibit hepatic glucuronidation, such as indomethacin, acetylsalicylic acid (Aspirin) and trimethoprim, decrease the elimination rate and increase the toxicity. Other nephrotoxic drug and myelosuppressive drugs and probebecid enhances toxicity. Stavudine and zidovudine exhibit mutual antagonism by competing for the same activation pathway.